Intercourse in closely related individual in relation -
1. Incest
2. Adultery
3. Bestiality
4. Tribadism

Correct answer: 1. Incest

Explanation: Ref:Textbook of forensic medicine and toxicology (V.V.Pillay) 17th edition, page no. 404 Incest is defined as natural sexual intercourse between two persons so closely related that they are forbidden by law to marry. Incest most frequently occurs between members of nuclear family, and the victim s are most often children.